All can commonly occur in a pt. who suffered decelerating injury in which pituitary stalk was damaged. Except one ?
1. Diabetes mellitus
2. Thyroid insufficiency
3. Adrenocortical insufficiency
4. Diabetes in sipidus

Correct answer: 1. Diabetes mellitus

Explanation: Ans. is 'a' ie. Diabetes Mellitus